About Burkitt's lymphoma- What is true aEUR'
1. CD34 +ve & surface Immuno Globulin +ve
2. CD34 +ve & surface Immuno Globulin -ye
3. CD34 -ye & surface Immuno Globulin -ye
4. CD34 -ye & surface Immuno Globulin +ve

Correct answer: 4. CD34 -ye & surface Immuno Globulin +ve

Explanation: CD34 -ye & surface immunoglobulin +ve (Ref: Robbin's ghle p. 608-6091 Burkitt's lymphoma Burkitt's lymphoma is a B cell lymphoma - Burkitt's lymphoma is a tumour of mature B cells (germinal centre tumour). Immunophenotype of Burkitt's lymphoma Burkitt's lymphoma is a tutnour of mature B cells. - Therefore it will express all typical markers of mature B cells such as: -- Surface immunoglobulin sIgD - CD 19 -CD 20 - CD 10 - BCL 6 However - "Unlike other tumour of germinal centre origin. Burkitt's lymphoma always fail to express the antiapoptotic protein BCL-2". Molecular pathogenesis of Burkitt's lymphoma forms of Burkitt's lymphoma are associated with translocations of c-MYC gene on chromosome 8. - The translocation partner is usually the IgH locus. - "cmyc" gene on chromosome 8 - IgH gene on chromosome 14 t(8:14) is the most common chromosomal translocation associated with Burkitt's lymphoma (80%) (t8:14). The other translocations associated with Burkitt's lymphoma - t (2;8) Kappa light chain - t (8;22) Lambda light chain Histology of Burkitt's Pymphoma It is a tumour of mature B cells. The tumour exhibits a "high mitotic index" and contains numerous apoptotic cells, the nuclear remnants of which are phagocytosed by interspersed benign macrophages. These phagocytes have abundant clear cytoplasm creating a characteristic "Starry sky pattern". Clinical features of Burkitt's lymphoma Burkitt's lymphoma is of three types - Endemic - Spordic - Subset of aggressive lymphoma occurring in patients with H.I.V. Both sporadic and endemic Burkitt lymphomas are found mainly in children or young adults. Most of the Burkitt's lymphoma present at extranodal sites. Endemic Burkitt's lymphoma present as - Mass involving the mandible and - Shows unusual predilection. for involvement of abdominal viscera particularly kidney ovaries, adrenal glands. Sporadic Burkitts lymphoma - It often appear as mass involving the ileocecum and peritoneium.